Gasless abdomen on X-ray is found in all except:
1. Annular pancreas
2. Duodenal atresia
3. Pyloric stenosis
4. Meckle diverticulum

Correct answer: 4. Meckle diverticulum

Explanation: Ans: d (Meckel's diverticulum)Gasless abdomen on X-ray is found in:* Acute pancreatitis* Annular pancreas* Bowel malrotation* Congenital hypertrophic pyloric stenosis* Congenital diaphragmatic hernia* Duodenal atresia* Mesenteric infarction